All of the following statement about plague are wrong except-
1. Domestic rat is main reservoir
2. Bubonic is the most common variety
3. The causative bacillus can survive upto 10 years in the soil of rodent burrows
4. Incubation period for pneumonic plague is one to two weeks

Correct answer: 2. Bubonic is the most common variety